An insufficient amount of AV cushion material will result in which of the following?
1. Persistent truncus arteriosus (PTA)
2. Ebstein's anomaly
3. Transposition of the great arteries
4. Tricuspid atresia

Correct answer: 4. Tricuspid atresia

Explanation: Insufficient amount of AV cushion material will cause tricuspid atresia. Improper spiraling of conotruncal/spiral septum lead to TGA. Anterior migration of spiral septum lead to TOF. Ebsteins's anamoly-Teratogenic effect of lithium causing atrialization of R.V due to apical displacement of septal and posterior leaflet of tricusid valve A faulty fusion of the right and left bulbar ridges and AV cushion causes membranous VSD.